Two litres of normal saline in 4 hours will stimulate secretion of-
1. Atrial natriuretic peptide
2. IL-2
3. TNF - alpha
4. Prostaglandins

Correct answer: 1. Atrial natriuretic peptide

Explanation: hyperosmolality occurs and blood volume increase causing atrial distention stimulating atrial natriuretic peptide ( Harrison 17 pg 1760)